Punett square is used for which of the following functions?
1. Predict genotype of offspring
2. Statistical analysis
3. Test a hypothesis
4. Track family history and inheritance

Correct answer: 1. Predict genotype of offspring

Explanation: The genotypes and phenotypes resulting from the recombination of gametes during fertilization can be easily visualized by constructing a Punnett Square, named after Reginald C. Punnett who first devised this approach. Ref: Concepts of Genetics, By William S. Klug, Michael R. Cummings, Seventh Edition, Page 82